The following primary tumours are common in the vulva except :
1. Adenocarcinoma
2. Basal cell carcinoma
3. Choriocarcinoma
4. Squamous cell carcinoma

Correct answer: 3. Choriocarcinoma

Explanation: Invasive lesions of vulva : Squamous cell carcinoma--most common 90% Melanoma 1-5% Adenocarcinoma 1% Sarcoma 2% Rodent ulcer or basal cell carcinoma 1%. Reference: Shaw's Textbook of Gynaecology 16th edition page no 475